In a Down's syndrome patient posted for surgery, the necessary preoperative investigation to be done is –
1. CT Brain
2. Echocardiography
3. Ultrasound Abdomen
4. X-ray cervical spine

Correct answer: 2. Echocardiography

Explanation: Congenital heart disease (especially endocardial cushion defect) is frequently found in Down's syndrome. Echocardiography is therefore considered necessary preoperative investigation.